Arterial supply to epistaxis area are all except-
1. Greater palatine
2. Anterior ethmoidal
3. Posterior ethmoidal
4. Sphenopalatine

Correct answer: 3. Posterior ethmoidal

Explanation: (Refer: PL Dhingra, Diseases of Ear, Nose & Throat, 7th edition, pg no. 165)

Epistaxis area is Little’s area
Four arteries contribute to little’s area

Anterior ethmoidal aretery
Septal branch of superior labial artery (Branch of facial A)
Septal branch of sphenopalatine artery (Branch of maxillary A)
Greater palatine artery (Branch of maxillary A)